A young child presented with history of passage of dark colored with urine with reduced urine output. He has a past history of abdominal pain, fever, and bloody diarrhea for 4 days which resolved on its own. There is absence of peripheral edema or rashes. Investigations show anemia, thrombocytopenia, and elevated blood urea nitrogen and serum creatinine. Which of the following findings is most expected finding in this patient?
1. Elevated haptoglobin level
2. Elevated serum indirect bilirubin
3. Elevated thrombin and prothrombin time
4. Low fibrinogen and elevated D-dimer level

Correct answer: 2. Elevated serum indirect bilirubin

Explanation: - Child given is presenting with classical history of hemolytic uremic syndrome In HUS, there is initial history of diarrhea caused d/t E-coli which causes damage to endothelial cells resulting in thrombotic microangiopathy affecting kidney. Typical Causative agent: Escherichia coli strain O157:H7 infection; Endothelial damage by Shiga-like toxin Characterized by triad of Renal failure, Anemia, Thrombocytopenia Peripheral findings - Presence of Schistocytes. As it causes hemolytic anemia, | in haptoglobin level & | in serum indirect bilirubin is seen Low fibrinogen and elevated D-dimer level is usually seen in DIC